Which of the following is/are feature of streptococcus agalactiae rather than staphylococcus aureus?
1. Catalase positive
2. Bacitracin resistant
3. Coagulase negative
4. a hemolysis

Correct answer: 3. Coagulase negative

Explanation: C. Coagulase negativeb hemolysis and bacitracin resistance occur in bothStaphylococcus AureusCoagulase Positive: Ananthanarayan Whf2l0Beta type of hemolyisis on blood agar-Microbiology by Baveja 5th/175"Streptococci- coagulase negative" Ananthanarayan lQ7h/218 "Lancefield group B consists of a single species, S. agalactiae, which is definitively identified with specific antiserum to the group B cell wall-associated carbohydrate antigen. A streptococcal isolate can be classified presumptively as GBS on the basis of biochemical tests, including hydrolysis of sodium hippurate (in which 99% of isolates are positive), hydrolysis of bile esculin (in which 99-100% are negative), bacitracin susceptibility (in which 92% are resistant), and production of CAMP factor (in which 98-100% are positive). CAMP factor is a phospholipase produced by GBS that causes synergistic hemolysis with p lysin produced by certain strains ofS. aureus'-Harrison 19th/969Staphylococci produce catalase, which converts hydrogen peroxide into water and oxygen. The catalase test differentiates the staphylococci, which are positive, from the streptococci, which are negative- Jawetz 27th/205Ananthanarayan 10th/210Species or common nameLancefield groupHemolysisLaboratory testS. pyogenesABetaBacitracin-sensitive, PYR test-positive; Ribose not fermntedS. agalactiaeBBetaCAMP test, Hippurate hydrolysisBacitracin Test microbeonline.com Positive: Streptococcus pyogenes Negative: Streptococcus agalactiaeThe bacitracin test is useful for differentiating b-hemolytic Group A streptococci from b-hemolytic non-Group A streptococci. This is important because most streptococcal diseases are caused by Group A streptococci. The bacitracin test can also be used to differentiate the bacitracin-resistant Staphylococcus from the bacitracin-susceptible Micrococcuswww.austincc.edu